Clofibrate, a lipid lowering agent inhibits both cholesterol and triglyceride synthesis by:
1. Inhibiting HMG CoA reductase
2. Binding to bile acids and preventing its reabsorption
3. Inhibiting VLDL production
4. Activating lipoprotein lipase, resulting in VLDL degradation

Correct answer: 4. Activating lipoprotein lipase, resulting in VLDL degradation